Non-appearance of social smile even after ..... weeks, is considered as abnormal:
1. 2 weeks
2. 4 weeks
3. 6 weeks
4. 8 weeks

Correct answer: 4. 8 weeks

Explanation: Ans. D: 8 weeks Child starts smiling back (social smile) when anyone talks to him or smiles at him by 6-8 weeks of age Important milestones: Head control: 1 month Sits with support: 5 months Transfer object from one hand to other: 6 months Crawls at: 8 months Says mama dada: 10 months Babies know his/ her gender: 3 years Can draw a circle: 3 years Self decisions: 7 years